Risk factors of gallbladder carcinoma are all except
1. Gallbladder Polyps
2. Typhoid carriers
3. Exposure to carcinogens like nitrosamine
4. Echinococcus Granulosus Infection

Correct answer: 4. Echinococcus Granulosus Infection

Explanation: Ans. (d) Echinococcus Granulosus infectionRef: Bailey 26th edition Page 1116Risk factors of cancer GB:* Gallstones* Polyps * Porcelain GB* Choledochal cyst* Anomalous pancreato bile duct junction* Typhoid carriers* Sclerosing cholangitis* Ulcerative colitis* Cholecysto enteric fistula* Drugs- estrogens * Carcinogens